Which of the following ion plays a role in exocytosis?
1. Sodium
2. Potassium
3. Calcium
4. Magnesium

Correct answer: 3. Calcium

Explanation: Ans. C CalciumRef: Ganong 25th edition, P 46* Exocytosis is a calcium dependent process where vesicles containing material for export are targeted to the cell membrane.* This area of fusion then breaks down leaving the contents of vesicle outside the cell membrane intact.* The reverse of exocytosis is called as endocytosis and is mediated by the protein Clathrin.